Optic radiations arise from-
1. Lateral Geniculate body
2. Medial Geniculate Body
3. Superior colliculus
4. Inferior colliculus

Correct answer: 1. Lateral Geniculate body

Explanation: Ans. is 'a' i.e., Lateral Geniculate body Optic radiations* The optic radiations (geniculocalcarine pathway) extend from the lateral geniculate body to the visual cortex. Inferior fibres of optic radiations subserve upper visual fields and superior fibres subserve inferior visual fields.* The visual pathway starting from retina consists of optic nerve, optic chiasma, optic tracts, lateral geniculate bodies, optic radiations (geniculocalcarine pathway), the visual cortex, in that sequence.